The following electrodes are used to detect the muscle activity without pain:
1. Surface electrode
2. Round electrode
3. Hook electrode
4. Needle electrode

Correct answer: 1. Surface electrode